An appropriate pre-Lithium work-up includes all of the following, EXCEPT:
1. Erythrocyte sedimentation rate
2. Serum creatinine
3. Thyroid-stimulating hormone (TSH)
4. Serum electrolytes

Correct answer: 1. Erythrocyte sedimentation rate

Explanation: Because of its effects on multiple body systems, including but not limited to renal, hematologic, and thyroid systems, appropriate baseline studies must precede the start of lithium therapy. The minimal tests to be done include serum creatinine, with electrolytes, thyroid function tests, and a complete blood count with differential. Additionally, because of its cardiac effect, an ECG is indicated. Any woman thought to be pregnant should have a pregnancy test. Ref: Nurcombe B. (2008). Chapter 12. Diagnostic Formulation, Treatment Planning, and Modes of Treatment in Children and Adolescents. In M.H. Ebert, P.T. Loosen, B. Nurcombe, J.F. Leckman (Eds), CURRENT Diagnosis & Treatment: Psychiatry, 2e.